All are side effects of steroids given in anti-inflammatory dosages, except -
1. Diabetes mellitus
2. Hyperkalamia
3. Osteoporosis
4. Na+ and water retention

Correct answer: 2. Hyperkalamia

Explanation: Ans. is 'b' i.e., Hyperkalemia o Glucocorticoids have some mineralocorticoid activity --> cause hypokalemia (not hyperkalemia).